Cord compression causes _ deceleration :
1. Early
2. Late
3. Variable
4. None

Correct answer: 3. Variable

Explanation: Variable